Urea cycle components are all except
1. Urease
2. Arginase
3. Transcarbamoylase
4. Arginosuccinase

Correct answer: 1. Urease

Explanation: l-Ornithine transcarbamoylase (EC 2.1.3.3) catalyzes transfer of the carbamoyl group of carbamoyl phosphate to ornithine, forming citrulline and orthophosphate. Argininosuccinate synthase (EC 6.3.4.5) links aspartate and citrulline the amino group of aspartate (reaction 3, Figure 28-16) and provides the second nitrogen of urea Hydrolytic cleavage of the guanidino group of arginine, catalyzed by liver arginase (EC 3.5.3.1), releases urea. Urease is not involved in the urea cycleRef: Harpers Illustrated Biochemistry, 30th edition, page no: 294